Keratan sulfate I and II is found in
1. Cornea
2. Cartilage
3. Loose connective tissue
4. All of the above

Correct answer: 4. All of the above

Explanation: Biologically Important GAGs: